Which of the following is false regarding measles?
1. Koplik's spots
2. Macula papuLar skin rash
3. Fever and malaise
4. Nikolsky's sign

Correct answer: 4. Nikolsky's sign